All of the following are true about prostate specific antigen except -
1. Normal level is 10-14 ng/ml
2. It may Elavated in BPH and Ca Prostate
3. It is produced by prostate
4. It is a glycoprotein

Correct answer: 1. Normal level is 10-14 ng/ml

Explanation: Ans. is 'a' i.e., Normal level is 10-14 ng/ml Prostate specific antigeno It is a glycoprotein produced only in the prostatic cells (both benign & malignant). It facilitates liquefaction of semen.o It is neither sensitive nor specific for early prostate carcinoma (it is prostate specific and not prostate cancer specific), nevertheless it gives some help in making a diagnosis.# Normal serum level - less than 4 ng/ml# 4 - 10 ng/ml - this range is common for both BHP and Ca.# More than 10 ng/ml - approx 75% will have cancer.